Good prognosis of ALL -
1. Hyperdiploidy
2. Hypodiploidy
3. T cell line
4. Philadelphia chromosome

Correct answer: 1. Hyperdiploidy

Explanation: Hyperdiploidy is a good prognostic indicator.
Hypodiploidy, TALL and philadelphia (BCR-ABL fusion) chromosome are poor prognostic indicators.